True about V.S.D. is, all except :
1. Small hole closes spontaneously
2. Defect is usually in membranous part
3. Endocarditis is commonest complication
4. Pulmonary oligemia in chest X-ray

Correct answer: 4. Pulmonary oligemia in chest X-ray

Explanation: Answer is D (Pulmonary oligemia in X ray chest) D. is characterized by pulmonary plethora and not pulmonary oligemia. Pulmonary vasculature is increased - Chest X-ray in VSD does not show pulmonary oligemia. A ventricular septal defect results in shunting of oxygenated blood from left ventricle to the right ventricle. This left to right shunt therefore streams the blood to the pulmonary artery and then to the lungs. The pulmonary vasculature is thus increased and pulmonary plethora is seen. Small holes in VSD may close spontaneously Disappearance of ventricular defects is called spontaneous closure. Almost 70-80 percent of all ventricular defects become smaller in size or disappear entirely Defect in VSD is usually in membranous part. 90% defects are located in the membranous part - Ghai 6th/402 Endocarditis is commonest complication of VSD. VSD is the commonest congenital lesion complicated by infective endocarditis - Ghai 6th/404.